Nitrates cannot be used in :
1. Angina pectoris.
2. Billiary colic.
3. Renal colic.
4. Cyanide poisoning.

Correct answer: 3. Renal colic.

Explanation: Nitrates are not used in renal colic.